Which of the following is not the muscles of superfical anterior compartment of forearm ?
1. FDS
2. FPL
3. FCR
4. Palmaris longus

Correct answer: 2. FPL

Explanation: Ans. is `b: i.e., FPL